Which of the following is the most probable cause of bilateral superior temporal quadrantopia and galactorrhea, in a lady?
1. Craniopharyngioma
2. Sheehan's syndrome
3. Pituitary hypophysitis
4. Pituitary macroadenoma

Correct answer: 4. Pituitary macroadenoma

Explanation: The most probable cause of bilateral superior temporal quadrantopia and galactorrhea in this patient would be a pituitary macroadenoma. Other common manifestations in females include amenorrhea and infertility. Males often present with impotence, loss of libido, infertility, or signs of central CNS compression, including headaches and visual defects. Ref: Williams Obstetrics, 23rd Edition, Chapter 35; Harrison's Internal Medicine, 18th Edition, Chapter 339